The aminoglycoside with least toxic effect is:
1. Ethambutol
2. Isoniazid
3. Streptomycin
4. Kanamycin

Correct answer: 3. Streptomycin